A 24-year-old girl presented with complaints of acne. On examination, multiple nodules, cysts and intercommunicating sinuses were seen. How will you treat her?
1. Acitretin
2. Oral isotretinoin
3. Doxycycline
4. Tazorotene

Correct answer: 2. Oral isotretinoin

Explanation: Ans. b. Oral isotretinoin (Ref: Fitzpatrick 6/e 672-686: Rooks 8/e p42.17-42 70: Roxburgh 18/e p159-172: Harrison 19/e p351-352, 18/e p403-409) Oral isotretinoin is the preferred treatment option for acne in a 24-year old girl with multiple nodules, cysts and intercommunicating sinuses.